Onychophagia is
1. Finger biting habit
2. Nail biting habit
3. Mouth breathing habit
4. None of the above

Correct answer: 2. Nail biting habit